The defluoridations process of drinking water developed by the NEERI is popularly known as -
1. Activated sludge process
2. Recarbonation process
3. Nalgonda process
4. Double pot method

Correct answer: 3. Nalgonda process

Explanation: NEERI developed a technique for removing fluoride by chemical deflouridation of water called Nalgonda technique. REF. PARK'S TEXTBOOK OF PREVENTIVE AND SOCIAL MEDICAL 21ST EDITION. PAGE NO - 596